Frecieuncy of Rest tremor in Parkinson's disease is -
1. 2/sec
2. 14/sec
3. 4-6/sec
4. 8/sec

Correct answer: 3. 4-6/sec